Arrange the following diseases in order of the zones of their involvement while going from metaphysis to epiphysis a. Gigantism b. Rickets c. Gaucher's disease d. Scurvy
1. d-b-c-a
2. d-b-a-c
3. a-d-c-b
4. b-d-a-c

Correct answer: 2. d-b-a-c

Explanation: Various zones of physis are involved in different pathology and they affect the growth of limb accordingly. Gauchers disease involve reserve zone Gigantism involves proliferative zone. Rickets involve hypertrophic zone Scurvy involves spongiosa zone